Interneurons that utilize the neurotransmitter enkephalin to inhibit afferent pain signals are most likely to be found in which region of the central nervous system?
1. Dorsal horn of spinal cord
2. Postcentral gyrus
3. Precentral gyrus
4. d-type A

Correct answer: 1. Dorsal horn of spinal cord

Explanation: Interneurons in the dorsal horn of the spinal cord use enkephalin that inhibits pain transmission from tissues of the body. The somatosensory cortex is located in the postcentral gyrus, and the primary motor cortex is located in the precentral gyrus; neither of which uses enkephalin to inhibit pain transmission. Myelinated d- type A fibers and unmyelinated type C fibers are not interneurons. Interneurons are physically short neurons that form a connection between other neurons that are usually close together.